In acute congestive glaucoma, pupil is:
1. Oval and horizontal
2. Oval and vertical
3. Circular
4. Slit like

Correct answer: 2. Oval and vertical

Explanation: B i.e. Oval & vertical In acute congestive glaucoma pupil is vertically oval, dilated & nonreacting Q and anterior chamber is very shallow Q; where as in acute anterior uveitis pupil is small, irregular & sluggishly reacting Q and anterior chamber is deep.